Indications of tracheostomy are
1. Flail chest
2. Head injury
3. Tetanus
4. All

Correct answer: 4. All

Explanation: A i.e. Flail chest; B i.e. Head injury; C i.e. Tetanus